Hyperacusis is defined as:
1. Hearing of only loud sound
2. Normal sounds heard as loud and painful
3. Completely deaf
4. Ability to hear in noisy surroundings

Correct answer: 2. Normal sounds heard as loud and painful

Explanation: Sensation of discomfort or pain on exposure to normal sounds. Seen in injury to nerve to stapedius and in case of congenital syphilis (Hennebert sign)